The classical example of muscular violence is -
1. of fibula
2. of patella
3. of clavicle
4. All of the above

Correct answer: 2. of patella

Explanation: *Indirect trauma :- A sudden violent contraction of quadriceps, as in sports person and athletes, can cause patellar fracture. Here the fracture is transverse fracture with two parts, i.e., two part fraction. MUSCLES * Quadriceps Femoris Rectus Femoris Vastus Lateralis VastusMedialis Vastus Intermedius *Treatment of choice for displaced two part fracture of patella is tenson band wiring. *Cylinder cast in full extension is given for undisplaced patella fractures. PATELLA - FUNCTIONS * guide for the quadriceps or patellar tendon * . friction of the quadriceps mechanism * Acts as a bony shield for the cartilage of the femoral condyles * Improves the aesthetic appearance of the knee. SIGNS AND SYMPTOMS of a Possible Fracture * Localized pain aggravated by movement * Muscle guarding with passive movement * Decreased function of the part * Swelling, deformity, abnormal movement * Sharp, localized tenderness at the site TREATMENT: NON-SURGICAL Protection phase Modalities Rest a gentle motion, a muscle-setting exercises in pain-free positions. Casts or splints a Crutches TREATMENT: SURGICAL * Timing of surgery : If the skin around your fracture has not been broken- * may recommend waiting until any abrasions have healed before having surgery. Open fractures, however, expose the fracture site to the environment 3 urgently need to be cleansed and require immediate surgery Ref: Adam's outline of fractures 12th/e p. 253